The most important hepatic function to consider after hepatic resection is:
1. Hepatic synthetic function.
2. Detoxification
3. The liver's role in lipid metabolism.
4. The liver's role in vitamin metabolism.

Correct answer: 1. Hepatic synthetic function.

Explanation: - Even though other functions undoubtedly may be important postoperatively, the most common abnormalities occurring after a major hepatic resection are related to loss of protein synthesis and consequences of glucose metabolism. - Therefore, it is usually advisable to administer supplemental amounts of protein and sugar postoperatively